Which of the following is not a major criteria in NADA's criteria-
1. Diastolic murmur
2. Abnormal ECG
3. Cyanosis
4. Congestive cardiac failure

Correct answer: 2. Abnormal ECG

Explanation: Nadas criteria: --> Predicts the presence of congenital heart disease --> MAJOR CRITERIA: Systolic murmur Grade-3 or more Any grade diastolic murmur cyanosis congestive cardiac failure --> MINOR CRITERIA: Systolic murmur Grade-1 or 2 Abnormal second heart sound (S2) Abnormal ECG Abnormal X-ray Abnormal B.P --> Presence of 1 major / 2 minor criteria --> Essential for indicating the presence of heart disease.